Greatest resting AV difference of oxygen content is in:
1. Heart
2. Kidney
3. Brain
4. Skeletal muscles

Correct answer: 1. Heart

Explanation: Ans. a (Heart). (Ref. Ganong, Physiology, 21st ed., 557)Circulation through organs:Liver:Largest share of systemic cardiac output.Kidney:Highest blood flow per gram of tissue.Heart:Large arteriovenous 02 difference. HEARTWorkO2 usage(ml/100 g/min)Pulse rate(/min)CO (L/min)Stroke vol (ml)A-VO2 diff (ml/dl) Rest267646.41004.3 Educational points: # Cardiac output# 5000 ml /min# Cardiac reserve# 300 to 400 per cent.# Kidney perfusion# 1000 ml/min (20 % of CO)# Plasma flow in kidneys# 600 ml/min# GFR# 120 ml/min (20%-filtr. fraction)# Final urine# 2000 ml/24 hours, i.e. 1.4 ml/min.Resting Blood Flow and O2 Consumption of Various Organs in a 63-kg Adult Man with a mean Arterial blood pressure of 90 mm Hg and an O2 Consumption of 250 mL/min. AV Oxygen Difference (mL/L)Oxygen ConsumptionResistance (R units)Percentage of TotalBlood flowRegionMass (kg)mL/minmL/100g/ min mL/minmL/100/ minAbsoluteper kgCardiac outputOxygen consumptionLiver2.6150057.734512.03.69.427.820.4Kidneys0.31260420.014186.04.31.323.37.2Brain1.475054.062463.37.210.113.918.4Skin3.646212.825120.311.742.18.64.8Sleletal musle31.08402.760500.26.4198.415.620.0Heart0.3250184.0114299.721.46.44.711.6Rest of body23.83361.4129440.216.1383.26.217.6Whole body63.054008.6462500.41.063.0100.0100.0Cardiac Output and Regional Blood Flow in a Sedentary Man Quiet StandingExerciseCardiac output5900 mL/min24,000 mL/minBlood flow to:Heart2501000Brain750750Active skeletal muscle65020,850Inactive skeletal muscle650300Skin500500Kidney, liver, gastrointestinal tract, etc.3100600